Maximum radiation exposure
1. X-ray abdomen
2. Chest X ray
3. IV pyelography
4. Barium Enema

Correct answer: 4. Barium Enema

Explanation: X-ray abdomen- Single spot film, therefore comparatively less radiation exposure. Chest X ray- Single spot film, therefore comparatively less radiation exposure. IV pyelography- Sequential/ multiple imaging but covers less area,* therefore, comparatively less radiation exposure. Barium Enema- Sequential/ multiple imaging, covers larger area. therefore comparatively maximum radiation exposure. PET CT - Has highest radiation exposure. Diagnostic Procedure Typical Effective Dose Chest Radiograph(PA) 0.02msv Extremities /limbs 0.01msv Skull 0.07msv pelvis 0.7msv Abdomen 1.0msv Mammography (bilateral in 2 planes) 0.5msv Intravenous pyelography 2.5msv Head Ct 2.3msv Chest CT 8 Abdominal CT 10 PET 7.2msv Barium Enema 7-8msv